Most accurate for measurement of ECF volume
1. Deuterium oxide
2. Cr-51 labeled RBC
3. Inulin
4. Albumin

Correct answer: 3. Inulin

Explanation: ECF volume is measured using inulin which is a polysaccharide.(Ref: Textbook of physiology N Geetha 2nd edition page no.61)